Fordyce's (Spots) Granules in oral cavity arise from
1. Sebaceous glands
2. Mucous glands
3. Minor salivary glands
4. Taste buds

Correct answer: 1. Sebaceous glands

Explanation: Fordyce spots They are aberrant sebaceous glands present under the buccal or labial mucosa and shine through it as yellowish or yellow-brown spots. They are seen with equal frequency in both males and females and are considered normal. Ref:- Dhingra; pg num:-220